Endotoxin of which gram negative bacteria does not cause pathogenesis of natural disease?
1. E. coli
2. M. tuberculosis
3. V. Cholera
4. Pseudomonas aerogenosa

Correct answer: 3. V. Cholera

Explanation: Culture
V cholerae produces convex, smooth, round colonies that are opaque and granular in transmitted light. V cholera and most other vibrios grow well at 37°C on many kinds of media, including defined media containing mineral salts and asparagines mineral salts and asparagines as sources of carbon and nitrogen. V cholerae grows well on thiosulfate-citrate-bile-sucrose (TCBS) agar, on which it produces yellow colonies that are readily visible against the dark-green background of the agar.